All the following are features of classic triad of ectopic pregnancy except
1. Amenorrhea
2. Pain
3. Bleeding
4. Mass per abdomen

Correct answer: 4. Mass per abdomen

Explanation: The classic triad of ectopic pregnancy is delayed menstruation, pain, and vaginal bleeding or spottingReference: William's Obstetrics; 25th edition; Chapter 19; Ectopic pregnancy